Regarding carneous degeneration of fibroid, all are true except
1. Seen during pregnancy
2. Septic condition
3. Tender fibroid
4. Analgesics treatment

Correct answer: 2. Septic condition

Explanation: Carneous degneration of fibroid is aseptic condition.